A 2-month-old, breastfed baby that was normal at birth begins to develop GI problems and cirrhosis of the liver. Molecular analysis indicates a normal amount of galactose-1-phosphate uridyl transferase (GALT) mRNA, but no observable enzyme activity. Which of the following would be the best possible explanation for this?
1. Gene deletion
2. Nonsense mutation
3. Premature transcription termination sequence in the DNA
4. Promoter mutation

Correct answer: 2. Nonsense mutation

Explanation: Nonsense mutation